Hallpike test is done for -
1. Vestibular function
2. Corneal test
3. Cochlear function
4. Audiometry

Correct answer: 1. Vestibular function